Treatment of an incidentally detected appendicular carcinoid measuring 2.5 cm is:
1. Right hemicolectomy
2. Limites resection of the right colon
3. Total colectomy
4. Appendicectomy

Correct answer: 1. Right hemicolectomy

Explanation: Ans. A: Right hemicolectomy In patients with tumors less than 1 cm located in the appendix, appendectomy is the treatment of choice. More extensive surgery is indicated for tumors larger than 2 cm, lymphatic invasion, lymph node involvement, mesoappendix infiltration, positive resection margins, and cellular pleomorphism with a high mitotic index. For tumors larger than 2 cm, accepted treatment has been hemicolectomy; however, a survival advantage over simple appendectomy has not been demonstrated. In intestinal carcinoids, block resection of the tumor with adjacent lymph nodes must be attempted. In the bronchial location, aggressive surgical resection, and not bronchoscopic removal, is recommended